M2 choline receptor is located at
1. Heart
2. Lungs
3. Skeletal muscle
4. Glands

Correct answer: 1. Heart

Explanation: M2 receptors are located at Heart, Nerves, Smooth musclesM1NervesM2Heart, Nerves, Smooth musclesM3Glands, smooth muscle, endotheliumM4CNSM5CNSNMSkeletal muscle, Neuromuscular junctionNNCNS, postganglionic cell body, dendritesKatzung 13e pg:105